Raynaud’s syndrome occurs in all of the following except:
1. SLE
2. Rheumatoid arthritis
3. Osteoarthritis
4. Cryoglobulinemia

Correct answer: 3. Osteoarthritis